Gamma gandy bodies are seen in all except ?
1. Cirrhosis with portal hypertension
2. Chronic myeloid leukemia
3. Sickle cell anemia
4. Thalassemia

Correct answer: 4. Thalassemia

Explanation: Ans. is 'd' i.e., Thalassemia